A Bad prognostic indicator of Schizophrenia is -
1. Late onset
2. Family history of Schizophrenia
3. Positive precipitating factors
4. Prominent affective symptoms

Correct answer: 2. Family history of Schizophrenia

Explanation: Poor prognostic factors:
Insidious onset, early onset (before 20 years of age); absence of precipitating stressor; poor premorbid adjustment; hebephrenic subtype (worst prognosis), simple, undifferentiated and chronic catatonic subtype; long duration (chronic course → >2 years); single / divorced; Negative symptoms; absence of depression; family history of schizophrenia; past history of schizophrenia; asthenic (thin) physique; male sex; poor treatment compliance & poor response to treatment; poor social support; flat or blunted affect; ventricular enlargement on brain CT scan; hospitalization & indoor treatment.